Which of the following is NOT true statement about ions in extra and intracellular compartments?
1. Cl- is the main anion in interstitial fluid
2. Na+ is main cation in plasma
3. Mg2+ is second major cation present in intracellular fluid after K+
4. HC03- is mainly present in intracellular fluid

Correct answer: 4. HC03- is mainly present in intracellular fluid

Explanation: Extracellular fluid (ECF) is characterized by high Na+ and Ca2+ content, and Cl- is the major anion. HCO3- is abundant in ECF. The intracellular fluid is rich in K+ and Mg2+, and phosphate is its major inorganic anion. The cytosol of cells contains a high concentration of protein that acts as a major intracellular buffer. Ref: Murray R.K., Granner D.K. (2011). Chapter 40. Membranes: Structure & Function. In D.A. Bender, K.M. Botham, P.A. Weil, P.J. Kennelly, R.K. Murray, V.W. Rodwell (Eds), Harper's Illustrated Biochemistry, 29e.